All of the following are associated with better prognosis in schizophrenia, EXCEPT
1. Late onset
2. Married
3. Negative symptoms
4. Acute onset

Correct answer: 3. Negative symptoms

Explanation: (C) Negative symptoms PROGNOSTIC FEATURES OF SCHIZOPHRENIA GoodBadHistoryPrevious psychiatric HistoryNoPresentFamily HistoryNegativePositiveFamily History +ve ofMood disordersSchizophreniaPreuproid adjustmentGoodPoorWork HistorySteadyUnsteady / UnemployedMartial statusMarriedUnmarriedSocial SupportGood (High social class)Poor (low social class)Precipitating factorsObvious, transientUnknown / chronicsClinical presentationOnsetAcuteInsidiousAge of onsetLateEarlyDuration of symptomsShortLongSymptomsPositiveNegativeMental stateGeneral AppearanceConfusionAssaultiveAffectDepressedBlunted / flatThinkingParanoid (or) CatatonicOCD / disorganisedTESTSFunctioning (CNC)NormalImpairedCT ScanNormalStructural abnormalityCourse TypeUndulatingChronic